Which of the following is active against atypical mycobacteria -
1. Clarithromycin
2. Rifabutin
3. Ciprofloxacin
4. All of the above

Correct answer: 4. All of the above

Explanation: Ans. is 'd' All of the above Regimen for MAC infection o Intensive phase (2-6 months) --> Clarithromycin/Azithromycin + ethambutol + rifabutin + one FQ (ciprofloxacin)/ clofazimine. o Maintenance phase (12 months) -4 Clarithromycin/ azithromycin + ethambutol/one FQ/rifabutin.